6-phospho Gluconate dehydrogenase need - (NEET/DNB Pattern)
1. NAD
2. NADP
3. FAD
4. FMN

Correct answer: 2. NADP

Explanation: Ans-B6-phospho-D-gluconate + NADP+ = {\display style \rightleftharpoons } D -ribulose 5-phosphate + CO2 + NADPH